Prominent corneal nerves are seen in all, EXCEPT:
1. Keratoconus
2. Band shaped keratopathy
3. Acanthamoebic keratitis
4. Refsum syndrome

Correct answer: 2. Band shaped keratopathy

Explanation: Systemic conditions associated with enlarged corneal nervesare MEN Type 2b, Refsum syndrome and neurofibromatosis. Local ocular disease with this sign includes keratoconus, keratitis (characteristically in acanthamoeba keratitis), Fuch's endothelial dystrophy, trauma and congenital glaucoma. Band shaped keratopathy is a degenerative condition seen in the cornea. It is common in chronic uveitis, also in children suffering from Still's disease, hyperparathyroidism, vit D poisoning, sarcoidosis. It begins as a whitish band which appear in the interpalpebral area and progress to form a continuous band across the cornea interspersed with round holes or cleaves in the band. Ref: Parson's diseases of eye, 21st edn-page:192